Appetite is decreased by following, except:
1. Methylphenidate
2. Olanzapine
3. Fluoxetine
4. Sertraline

Correct answer: 2. Olanzapine

Explanation: Olanzapine